Trichomonas is seen under microscope in?
1. Normal saline
2. Distilled water
3. KOH
4. Dextrose

Correct answer: 1. Normal saline

Explanation: Trichomonas exist only is trophozoite form, so seen in normal saline. Vaginal or urethral discharge is examined microscopically in saline wet mount preparation to look for characteristic jerky & twitching motility & shape.